As per mental health care act, the following is not true regarding advanced directive
1. Every person except minor has right to take advance directive by writing
2. It empowers the patient to choose his/her treatment and appoint a representative to take decision on behalf of patient.
3. If patient is minor, his/ her parent or care giver will act as representative.
4. It is the duty of every psychiatrist to plan treatment at the time of emergency ,keeping advance directive in mind.

Correct answer: 4. It is the duty of every psychiatrist to plan treatment at the time of emergency ,keeping advance directive in mind.

Explanation: Advance directives. Features: Every person except minor has right to take advance directive by writing It empowers the patient to choose his/her treatment and appoint a representative to take decision on behalf of patient. If patient is minor, his/ her parent or care giver will act as representative. It will not be applicable At the time of emergency. It is the duty of every psychiatrist to plan treatment ,keeping advance directive in mind. If any one from psychiatrist or care giver are unsatisfied can approach to the concerned board.